False about eukaryotic protein synthesis is
1. N formyl Met is the first t-RNA to come into action
2. mRNA read from 5' to 3'
3. Ef2 shifts between GDP to GTP
4. Capping helps in attachment of mRNA to 40 S ribosome

Correct answer: 1. N formyl Met is the first t-RNA to come into action

Explanation: The first amino acid incorporated is methionine But in prokaryotes, the same codon stands for N -formyl methionine which is the firstRef: DM Vasudevan, 7th edition, page no: 600